Comedones are seen in-
1. Acne vulgaris
2. Lichen Planus
3. Adenoma sebaceum
4. Pityriasis

Correct answer: 1. Acne vulgaris

Explanation: Acne causes polymorphous cutaneous lesions such as comedones, papules, pustules, pseudocysts and abscesses which may leave scarring.comedones are the characteristic of acne vulgaris. Reference Harrison20th edition pg 1204